Perthes affects age group
1. < 4 yrs
2. 4 - 8 yrs
3. 10 - 25 yrs
4. > 25 yrs

Correct answer: 2. 4 - 8 yrs

Explanation: Ans. B. 4 - 8 yrsPerthe's disease is also known as osteochondritis deformans juvenilis or Coxa plana or Pseudocoxalgia.Perthe's disease is an osteochondritis of the epiphysis of the femoral head (capital femoral epiphysis).The disease occurs commonly in males in the age group of 5-10 years.